Tooth Loss that causes the patient to bite in an abnormal relation of maxilla to mandible, in order to obtain better function during mastication is termed
1. Convenience bite
2. Dramatic bite
3. Temporary bite
4. Squashed bite

Correct answer: 1. Convenience bite